Under Home based New Born Care Programme, ASHA makes home visits for postnatal and new born care on:
1. Day 1, 3, 7, & 21
2. Day 3, 7 & 21
3. Day 3, 7, 21 & 28
4. Day 3,7,14,21,28 & 42

Correct answer: 4. Day 3,7,14,21,28 & 42

Explanation: -Under NHM, ASHA makes home visits for postnatal and new born care on Day 3,7, 21, 28 & 42. - In case of home delivery she will make an additional visit on day 1. - The proposed incentive for ASHA is Rs 50 per home visit of around one hour duration, amounting to a total Rs.250 for five visits.